Sublingual gland is situated :
1. Below the mylohyoid muscle.
2. Above the mucosa of the floor of the month.
3. Above the mylohyoid muscle.
4. In the anterior part of digastric triangle.

Correct answer: 3. Above the mylohyoid muscle.